All are seen in drowning except :
1. Miosis
2. Wet heavy lungs
3. Water and weeds in stomach and lung
4. Froth from mouth

Correct answer: 1. Miosis

Explanation: A i.e. Miosis In drowning pupils are dilatedQ Other important signs of drowning are -fine copious persistant leathery froth from mouth & nose, weeds in tightly clenched hands, water in stomach & intestine, diatoms in brain & bone marrow, emphysema aquosum (wet heavy lungs), cutis anserina (goose skin), washer woman hands and Paltauf's haemorrhage.Q